Ganglion of hay fever is
1. Otic ganglion
2. Ptery gopalatine ganglion
3. Submandibular ganglion
4. Geniculate ganglion

Correct answer: 2. Ptery gopalatine ganglion

Explanation: In hay fever, the allergen-reagin reaction occurs in the nose. Histamine released in response to the reaction causes local intranasal vascular dilation, with resultant increased capillary pressure and increased capillary permeability. Both these effects cause rapid fluid leakage into the nasal cavities and into associated deeper tissues of the nose, and the nasal linings become swollen and secretory. Pterygopalatine ganglion is also called as hay fever ganglion because it serves as a relay station for secretomotor fibres to the -lacrimal glands -mucous glands of nose -paranasal sinuses -palate -pharynx. Ref: guyton and hall textbook of medical physiology 12 edition page number: 671,672,673